The duodenum lies at which of the following level of vertebrae ?
1. L1, L2,L3
2. L3, L4, L5
3. L2, L3, L4
4. L5, S1, S2

Correct answer: 1. L1, L2,L3

Explanation: The duodenum lies above the level of the umbilicus, opposite first, second and third lumbar vertebrae. Ref : B D Chaurasia's Human Anatomy , volume 2 , pg. no., 285.